Parathyroid glands develop from .............branchial pouches?
1. 1st & 2nd
2. 2nd & 3rd
3. 3rd & 4th
4. 5th & 6th

Correct answer: 3. 3rd & 4th

Explanation: HUMAN EMBRYOLOGY-INDERBIR SINGH TENTH EDITION-PAGE NO:136The inferior parathyroid glands develop from endoderm of the third pharyngeal pouchThe superior parathyroid glands develop from endoderm of the fourth pharyngeal pouch